Nevirapine belongs to:
1. Nucleoside Reverse Transcriptase Inhibitor
2. Protease inhibitor
3. Non Nucleoside Reverse Transcriptase Inhibitor
4. None of the above

Correct answer: 3. Non Nucleoside Reverse Transcriptase Inhibitor

Explanation: Ans. C: Non Nucleoside Reverse Transcriptase Inhibitor Nevirapine is a non-nucleoside reverse transcriptase inhibitor (NNRTI) used to treat HIV-1 infection and AIDS